All are true regarding Chlamydia psittaci except:
1. Endemic in birds
2. Cause non-gonococcal urethritis
3. Grow in a specified laboratory
4. Tetracycline is treatment of choice

Correct answer: 2. Cause non-gonococcal urethritis

Explanation: Ans. (b) Cause non-gonococcal urethritis C. Psittaci Causes psittacoses in humans/birds, ornithosis in birds, meningopneumonitis, feline pneumonitis and other animal diseases. Form diffuse intracytoplasmic inclusions that lack glycogen, not stained by 12 and not inhibited by sulphadiazine orcycloserine. Heat stable group reactive. CF antigen resist proteolytic enzymes so seems to be lipopolysaccharide. Psittacosis is disease of human acquired from contact with birds and also includes infection of psittacine birds. Ornithosis is infection in all types of domestic birds. Infection in birds is usually subclinical (carriers). Human infection is usually occupational as in poultry workers, pigeon farmers, pet-shop owners, bird fencers and veterinarian. Usually occur by inhalation of infected dried feces. Incubation period is about 10 days. Manifest as influenza/atypical pneumonia/sepsis. Antibodies to species specific antigen can neutralize toxicity and infectivity. Diagnosis: - Culture is dangerous and if done; then isolation should be attempted only in special laboratories as laboratory infection is serious hazard. Detection of antigen by direct fluorescent antibody staining or by immunoassay or PCR is preferred, serology (confirmatory) by CFT or MIF. Treatment: - DOC is tetracycline. - Should be continued for 10 days after defervescence to prevent relapse.